The hormone involved in the regulation of blood pressure is
1. Serotonin
2. Histamine
3. Angiotensin
4. Prostaglandin

Correct answer: 3. Angiotensin

Explanation: The hormone involved in the regulation of blood pressure is Angiotensin II. Angiotensin II is a powerful vasoconstrictor that increases the total peripheral resistance and decreases Na+ and H2O excretion by kidney, thereby causing an increase in arterial BP. Humoral Regulation of BP Ref: Ganong Medical Physiology 26th edition PGno: 586